Acid susceptible penicillin is :
1. Methicillin
2. Ampicillin
3. Amoxycillin
4. Cloxacillin

Correct answer: 1. Methicillin